A female child with virilization, hypertension with low plasma renin diagnosis is
1. 21 alpha hydroxylase deficiency
2. 11 beta hydroxylase deficiency
3. 3 beta hydroxylase deficiency
4. Conn's syndrome

Correct answer: 2. 11 beta hydroxylase deficiency

Explanation: Renin is produced from the juxta glomerular cells in the kidney. It acts on the angiotensinogen produced in the liver and converts it to angiotensin I. The latter is converted to Angiotensin II by the Angiotensin converting enzyme in the lung. Angiotensin II is a potent vasoconstrictor and acts on the angiotensin receptors. Both high as well as low levels of renin may be associated with hypertension. This article deals with hypertensive disorders associated with low renin levels The causes of low renin hypertension are as follows: Low renin essential hypertension (LREH) Primary aldosteronism Conn's syndrome Glucocorticoid-remediable (GRH)/Familial hyperaldosteronism Type I Familial Type II Liddle syndrome Mineralocorticoid receptor mutation Apparent mineralocorticoid excess (AME) Glucocorticoid resistance Gordon syndrome Congenital adrenal hyperplasia (CAH) 11 beta hydroxylase deficiency Ref Robbins 9 /e pg 158